A 7 year old girl is brought with complaints of generalized swelling of the body. Urinary examination reveals Grade 3 proteinuria and the presence of hyaline and fatty casts. She has no history of Hematuria. Which of the following statements about her condition is TRUE?
1. No IgG deposits or C3 deposition on Renal biopsy
2. Her C3 levels will be low
3. IgA Nephropathy is the likely diagnosis
4. Alport's syndrome is the likely diagnosis

Correct answer: 1. No IgG deposits or C3 deposition on Renal biopsy

Explanation: A young girl presenting with generalized edema, significant proteinuria, absence of hematuria and hyaline and fatty casts is most likely to be suffering from Minimal change disease (Lipoid nephrosis), the most common type of Nephrotic Syndrome. In patients with Minimal change disease, C3 levels are normal and renal biopsy does not show any significant abnormalities except obliteration of epithelial foot processes. Therefore, No IgG Deposits or C3 deposition on renal biopsy is the best answer. Ref: Essential Pediatrics By O P Ghai, 6th Edition, Pages 446, 450